Notochord develops in
1. 3rd week
2. 3rd month
3. 6 months
4. 10th week

Correct answer: 1. 3rd week

Explanation: (A) 3rd week > Notochord develops in 3rd week.